A child with head injury is admitted in ICU. Management of raised ICP includes all except:
1. Mannitol, if there is no intracranial haemorrhage
2. Minimal use of sedation and analgesia
3. Controlled mechanical ventilation
4. Hypertonic saline may be used

Correct answer: 2. Minimal use of sedation and analgesia

Explanation: - ICP should be maintained <20 mm Hg First-tier therapy for raised ICP includes: Elevation of head end of the bed, ensuring midline positioning of head and body Controlled mechanical ventilation Sedation and analgesia (i.e., benzodiazepines and narcotics) Osmolar agents like mannitol and hypertonic saline.